According to 'Biomedical concept' health is
1. Relative absence of pain and discomfort
2. Absence of disease
3. A sound mind in sound body, in a sound family, in sound environmen
4. None

Correct answer: 2. Absence of disease

Explanation: Ans. is 'b' i.e., Absence of disease There are following changing concepts of health:? 1. Biomedical concept According to this concept health is defined as "absence of disease", and has the basis in the "germ theory of disease" The limitation of this concept is that it has not given much significance to environmental, social, psychological and cultural determinants. 2. Ecological concept According to this concept, health is a dynamic equilibrium between man and his environment, and disease a maladjustment of human to environment. According to Dubos "health implies the relative absence ofpain and discomfort and a continuous adaptation and adjustment to the environment to ensure optimal function". The ecological concept raises two issues, i.e. imperfect man and imperfect environment. 3. Psychological concept it includes the influence of social, psychological, cultural, economic and political factors. 4. Holistic concept The holistic model is a synthesis of all the above concepts. This view corresponds to the view held by the ancients that "health implies a sound mind, in a sound body, in a sound family, in sound environment." The holistic approach implies that all sectors of society have an effect on health, in particular, agriculture, animal husbandry, food, industry, education, housing, public works and communication. The emphasis is on the promotion and protection of health.